All satements are true about papilloedema except
1. Collection of extra-cellular fluid
2. Disruption of neurofilament
3. Stasis of exoplasmic transport
4. Swelling of the axon

Correct answer: 2. Disruption of neurofilament

Explanation: B i.e. Disruption of neurofilament The pincipal pathophysiology of optic disc swelling is blockage of axoplasmic tranpoQ. It shows signs of edema without inflammation with collection of extra-cellular fluidQ. The nerve fibre of the optic nerve head are also swollen.